Chorionic villous sampling done before 10 weeks may results in :
1. Fetal less
2. Fetomaternal hemorrhage
3. Oromandibular limb defects
4. Sufficient material not obtained

Correct answer: 3. Oromandibular limb defects

Explanation: Oromandibular limb defects